Most common complication of tonsillectomy is?
1. Hemorrhage
2. Teeth injury
3. Pneumonia
4. Otitis media

Correct answer: 1. Hemorrhage

Explanation: Ans. is 'a' i.e., Hemorrhage Post-tonsillectomy hemorrhage is the most common complication, occuring in approximately 2 to 5%, and should be taken seriously". Bellenger's otolaryngology Complications of tonsillectomy Complications of tonsillectomy may be :- Immediate Delayed Immediate complications Primary haemorrhage : Occurs at the time of operation. It can be controlled by pressure, ligation or electrocoagulation of the bleeding vessels. Reactionary haemorrhage : Occurs within a period of 24 hours. Injury to tonsillar pillars, uvula, soft palate, tongue or superior constrictor muscle due to bad surgical technique. Injury to teeth. Aspiration of blood. Facial oedema : Some patients get oedema of the face particularly of the eyelids. Surgical emphysema Dalayed complications Secondary haemorrhage : Usually seen between the 5th to 10th post-operative day. It is the result of sepsis and premature separation of the membrane. Usually, it is heralded by bloodstained sputum but may be profuse. Infection : Infection of tonsillar fossa may lead to parapharyngeal abscess or otitis media. Lung complications : Aspiration of blood, mucus or tissue fragments may cause atelectasis or lung abscess. Scarring in soft palate and pillars. Tonsillar remnants : Tonsil tags or tissue, left due to inadequate surgery, may get repeatedly infected. Hypertrophy of lingual tonsil : This is a late complication and is compensatory to loss of palatine tonsils.